A four-year old child presents with mild fever, malaise, prupura, arithritis, abdominal pain and microscopic hematuria. What would be the most likely diagnosis -
1. Thrombobasthenia
2. Idiopathic thrombocytopenic
3. Systemic lupus erythematosus
4. Henoch-Schonlein purpura

Correct answer: 4. Henoch-Schonlein purpura

Explanation: Ans. is 'd' i.e., Henoch-schonlein purpura